Which foot bone does not have any muscle attachment?
1. Talus
2. Calcaneum
3. Navicular
4. 1st metatarsal

Correct answer: 1. Talus

Explanation: Ans. is 'a' i.e., Talus * Talus is the only bone in the foot having no muscle attachments. It has only ligamentous attachments.